Hemangioblastoma associated with VHL are most commonly seen in
1. Cerebellum
2. Liver
3. Kidney
4. Pancreas

Correct answer: 1. Cerebellum

Explanation: Answer is A (Cerebellum) Hemangioblastomas associated with Von-Hippel-Lindau Disease are most commonly seen in the cerebellum. The hallmark lesion of Von-Hippel-Lindau (VHL) disease is the hemangioblastoma. These are most commonly seen in the cerebellum but occasionally seen in the medulla oblongata (most common brainstem site), spinal cord and supratentorially in the optic nerves and cerebral hemispheres' - MR1 of the Brain and spine (Lippincott). 'The most common CNS manifestation of VHL is the charachteristic cerebellar hemangioblastoma. Approximately 6080% of VHL patients ultimately develop a CNS Hemangioblastoma. Three quarters of these are cerebellar in location with the majority of the remaining hemangioblastomas located in the spinal cord. Hemangioblastomas of the cerebral hemisphere account for only a small minority of lesions '